Restriction enzyme Type II
1. Methylates specific DNA sequences
2. Cleaves specific palindromic DNA sequences
3. Helps in protein digestion
4. Helps in keeping the nascent protein unfolded

Correct answer: 2. Cleaves specific palindromic DNA sequences

Explanation: Restriction enzyme type II identifies the palindromic sequences on the DNA and cuts the DNA strand at a certain specific site. Types of Restriction EnzymesRestriction enzymes are traditionally classified into four types on the basis of subunit composition, cleavage position, sequence specificity and cofactor requirements. Type I enzymes are complex, multisubunit, combination restriction-and-modification enzymes that cut DNA at random far from their recognition sequences.Type II enzymes cut DNA at defined positions close to or within their recognition sequences. They produce discrete restriction fragments and distinct gel banding patterns, and they are the only class used in the laboratory for DNA analysis and gene cloning. Type III enzymes are also large combination restriction-and-modification enzymes. They cleave outside of their recognition sequences and require two such sequences in opposite orientations within the same DNA molecule to accomplish cleavage; they rarely give complete digests.Type IV enzymes recognize modified, typically methylated DNA and are exemplified by the McrBC and Mrr systems of E. coli.